Pneumatosis intestinalis is most often seen in ?
1. Neonatal necrotising enterocolitis
2. Midgut valvulus
3. Meconium peritonits
4. Neonatal visual perforation

Correct answer: 1. Neonatal necrotising enterocolitis

Explanation: Ans. is 'a' i.e., Neonatal necrotizing enterocolitis